In patients with breast cancer, chest wall involvement means  involvement of any one of the following structures except:
1. Serratus anterior
2. Pectoralis
3. Intercoastal muscles
4. Rib

Correct answer: 2. Pectoralis